Mikulicz's disease is characteristics by:
1. Symmetrical enlargement of the salivary glands.
2. Enlargement of the lacrimal gland.
3. Both of the above.
4. None of the above.

Correct answer: 3. Both of the above.

Explanation: A nodular enlargement of a gland occurs resembling neoplastic disease where a more uniform, symmetrical enlargement  of the salivary and lacrimal glands is found.